Which of the following nerves lies closest to the Wharton' s duct -
1. Hypoglossal
2. Lingual
3. Chorda tympani
4. Facial

Correct answer: 2. Lingual